Carcinoma endometrium with superficial inguinal lymph node involvement is of:
1. Stage IV
2. Stage III
3. Stage II
4. Stage I

Correct answer: 1. Stage IV

Explanation: Ans. A. Stage IVThe International Federation of Gynecology and Obstetrics (FIGO) staging system for carcinoma of corpus uteri is as follows:a. Stage IA-Tumor limited to endometrium <8cm)b. Stage IB-Invasion to less than one half the myometrium (>8cm)c. Stage IC-Invasion to more than one half the myometriumd. Stage IIA-Endocervical glandular involvement onlye. Stage IIB-Cervical stromal invasioni. Stage IIIA-Tumor invades serosa and/or adnexa and/or positive peritoneal cytologyii. Stage IIIB-Vaginal metastasisiii. Stage IUC-Metastases to pelvic and/or para-aortic lymph nodesiv. Stage IVA-Tumor invasion of bladder and/or bowel mucosav. Stage IVB-Distant metastases including intra-abdominal and/or inguinal lymph nodesvi. Cases of carcinoma of the corpus should be classified (or graded) according to the degree of histologic differentiation. The histopathology and degree of differentiation is as follows:vii. Class G1-Non squamous or non morular solid growth pattern of 5% or lessviii. Class G2-Non squamous or non morular solid growth pattern of 6-50%ix. Class G3-Non squamous or non morular solid growth pattern of more than 50%